Best management after human bite -
1. Ampicillin plus sulbactam
2. Clindamycin plus TMP-SMX
3. Fibroquinolone
4. Doxycycline

Correct answer: 1. Ampicillin plus sulbactam

Explanation: Answer- A. Ampicillin plus sulbactamAmpicillin/sulbactamImipenemCefoxitin in penicillin allergics